Most common psychotherapy used for depression is-
1. Cognitive behavioral therapy (CBT)
2. Reminiscent therapy (RT)
3. Interpersonal therapy (IPT)
4. Supportive therapy (ST)

Correct answer: 1. Cognitive behavioral therapy (CBT)

Explanation: Ans. is 'a' i.e. Cognitive behavioral therapy (CBT) "In CBT, the most common psychotherapy used today to treat depression, the therapist attempts to change dysfunctional beliefs and attitudes that are generating negative emotions." - Clinical Handbook of Pastoral Counseling p. 43